Semen stains on clothes can be identified by:
1. Infrared rays
2. Magnifying lens
3. Spectrometry
4. Ultraviolet rays

Correct answer: 4. Ultraviolet rays

Explanation: Ultraviolet rays